Organism causing billiary duct obstruction:
1. Clonorchis sinensis
2. Ankylostoma duodenale
3. Strongyloides stercales
4. Enterobius vermicularis

Correct answer: 1. Clonorchis sinensis

Explanation: Hepatobiliary Parasitism
Common in Southern china
Biliary tract is infestated by adult helminthes or their ova
Causes :
Trematodes (Liver or biliary flukes) MC
Clonorchis sinensis
Opisthorchis viverrini or O. felineus
Fasciola hepatica
Nematode (Ascaris lumbricoides by intraductal migration of adult worm